Ammonia in brain is trapped by
1. Alanine
2. Glutamine
3. Ornithine
4. Aspartate

Correct answer: 2. Glutamine

Explanation: Ans. is 'b' i.e.,Glutamine The brain is a rich source of glutamine synthase and predominantly detoxifies ammonia by synthesis of glutamine.Glutamate + NH4 - Glutamine sythetase - Glutamine